If both water and food are completely withheld to a person, death usually occurs in :
1. 1 to 2 days
2. 2 to 4 days
3. 5 to 7 days
4. 10 to 12 days

Correct answer: 4. 10 to 12 days

Explanation: D i.e. 10-12 days